Shanti has been diagnosed to have brain tumor. You would prefer to give her betamethasone/dexamethasone over hydrocortisone as steroids to decrease her cerebral edema because:
1. They do not cause Na+ and water retention
2. They are more potent
3. They can be administered intravenously
4. They inhibit brain tumours

Correct answer: 1. They do not cause Na+ and water retention